Which of the following types of hypertriglyceridemia is associated with an increase in chylomicron and VLDL remnants?
1. Type I
2. Type IIa
3. Type III
4. Type IV

Correct answer: 3. Type III

Explanation: Frederickson's classification of hyperlipoproteinemias Type III Lipoprotein fraction elevated: Broad beta VLDL Chylomicrons It is very rare. It is due to increased levels of LDL and IDL. Beta lipoprotein floats on ultra-centrifugation and a broad beta band is observed on electrophoresisRef: DM Vasudevan - Textbook of Biochemistry, 8th edition, page no: 299, Table 25.4